Alternative for SMR:
1. Tympanoplasty
2. Septoplasty
3. Caldwell-Luc operation
4. Turboplasty

Correct answer: 2. Septoplasty

Explanation: (b) Septoplasty(Ref. Cummings, 6th ed., 481)Septoplasty is more conservative procedure than SMR and is the preferred surgery for DNS.